Heliotrope rash is seen in -
1. Psoriasis
2. Dermatomyositis
3. DLE
4. Pemphigus

Correct answer: 2. Dermatomyositis

Explanation: Heliotrope rash seen 30-60% of patients with dermatomyositis it is pruritic , symmetrical, confluent,violaceous erythema on eyelids sometimes cheeks and forehead. IADVL Textbook of dermatology page 1248